Recurrant interosseous artery is a branch of
1. Posterior interosseous artery
2. Anterior interosseous artery
3. Radial artery
4. Ulnar artery

Correct answer: 1. Posterior interosseous artery

Explanation: Near its origin , posterior interosseous artery gives off interosseous recurrent artery which runs upwards , and ends by anastomosing with middle collateral artery behind lateral epicondyle . B D Chaurasia 7th edition Page no : 113